Synergohymenotroic toxins of Staphylococcal consists-
1. oc toxin
2. 3 toxin
3. y toxin
4. 8 toxin

Correct answer: 3. y toxin

Explanation: Ans. is 'c' i.e., 'y toxin; . Staphylococcal leucocidin and gamma lysin have been grouped as synergohymenotropic toxins. . Leucocidin is also called the Panton-valentine toxin.